Saucering" out of small pits to improve self cleansing property is called
1. Saucerisation
2. Enameloplasty
3. Odontotomy
4. None of the above

Correct answer: 2. Enameloplasty